Progression of congenital scoliosis is least likely in which of the following vertebra anomalies?
1. Fully segmented Hemivertebra
2. Wedge vertebra
3. Block vertebra
4. Unilateral unsegmented bar with Hemivertebra

Correct answer: 3. Block vertebra

Explanation: Block vertebra type of scoliosis has the best prognosis. The progression is slow and it can be corrected easily, whereas unilateral thoracic unsegmented type carries worst prognosis. Ref: Orthopaedic Surgery Essentials in Pediatrics By Kathryn E. Cramer, Susan A. Scherl, 2004), Page 65; Campbell's Orthopaedics, 11th Edition, Page 2607.